Which of the following is most commonly used for preservation of organs for transplantation:
1. Formalin
2. Ringer lactate
3. University of Wisconsin solution
4. Dextrose 5%

Correct answer: 3. University of Wisconsin solution

Explanation: Ans. C i.e. University of Wisconsin solution